IV immunoglobulin is used in -a) Myasthenia gravisb) Idiopathic thrombocytopenic purpurac) Hemolytic-uremic syndromed) Multiple myeloma
1. ac
2. ab
3. ad
4. bc

Correct answer: 2. ab